Least energy producing cycle
1. Glycolysis
2. Kreb's cycle
3. HMP shunt
4. Fatty acid oxidation

Correct answer: 3. HMP shunt

Explanation: Ans. is 'c' i.e.,HMP shunt HMP shunt does not produce energy.HMP shunt is particularly important for two purposes :-Synthesis of ribose for nucleotide and nucleic acid formation.Formation of NADPH which plays important role in several other biological processes, e.g. synthesis of fatty acids, cholesterol, steroid hormones and neurotransmitters.